The factor responsible for the left shift of Hb-02 dissociation curve is:
1. Increase in 2,3 DPG in RBC
2. Fall in temperature
3. Fall in pH
4. Increase level of CO2 in blood

Correct answer: 2. Fall in temperature

Explanation: B i.e. Fall in Temperature